Centrosome duplication takes place in-
1. M phase
2. G0 phase
3. S phase
4. G2 phase

Correct answer: 3. S phase

Explanation: The centrosome cycle consists of four phases that are synchronized to cell cycle. These include: centrosome duplication during the G1 phase and S Phase, centrosome maturation in the G2 phase, centrosome separation in the mitotic phase, and centrosome disorientation in the late mitotic phase-G1 phase.